Stocker s line is seen in -
1. Pinguencula
2. Pterygium
3. Congenital Ocular Melanosis
4. Conjunctival epithelial melanosis

Correct answer: 2. Pterygium

Explanation: Deposition of iron seen sometimes in corneal epithelium anterior to advancing head of pterygium is called stocker's line. Pterygium is more common in elderly males doing outdoor work. It may be unilateral or bilateral. It presents as a triangular fold of conjunctiva encroaching the cornea in the area of palpebral aperture, usually on the nasal side but may also occur on the temporal side. ref: A K KHURANA OPHTALMOLOGY,E4, Page-80 ref img